PAF does not cause
1. Brochoconstriction
2. Vasoconstriction
3. Decreased vascular permeability
4. Vasodialation

Correct answer: 3. Decreased vascular permeability